Eyebrows don't grow beyond certain length as they have a short-
1. Anagen phase
2. Telogen phase
3. Catagen phase
4. Exogen phase

Correct answer: 1. Anagen phase

Explanation: Eyebrow hair do not have long anagen phase Ref Harrison20th edition pg 1236